Which one of the following is not a clinical use of spironolactone ?
1. Pulmonary edema
2. Hypertension
3. Congestive heart failure
4. To counteract hypokalemia due to thiazide diuretics

Correct answer: 1. Pulmonary edema